Proliferative glomerular deposits in the kidney are found in -
1. Amyloidosis
2. Diabetes mellitus
3. IgA nephropathy
4. Membranous glomerulonephritis

Correct answer: 3. IgA nephropathy